Which of the following drugs act by inhibiting bacterial protein synthesis ?
1. Bacitracin
2. Dapsone
3. Ethambutol
4. Streptomycin

Correct answer: 4. Streptomycin